All of the following are nuclei of cerebellum, EXCEPT?
1. Nucleus caudate
2. Nucleus dentatus
3. Nucleus globosus
4. Nucleus fastigii

Correct answer: 1. Nucleus caudate

Explanation: Cerebellum is the largest part of hind brain situated in the posterior cranial fossa beneath the tentorium cerebelli. It plays an important role in control of muscle tone and co-ordination of muscle movement. The cerebellum controls the same side of the body (ipsilateral side). Cerebellar nuclei are present within the grey matter of the cerebellum. There are four pairs of nclei they are; Nucleus dentatus Nucleus globosus Nucleus fastigii Nucleus emboliformis